Leaving the capsule behind in cataract surgery is advantageous because it –a) Prevents cystoid macular edemab) Decreases endothelial damagec) Progressively improves visiond) Decreased chance of retinal detachmente) Decreased chance of endophthalmitis
1. abcd
2. bcde
3. acde
4. abde

Correct answer: 4. abde

Explanation: First keep in your mind that any of the described complication can occur with either ICCE or ECCE. However, ECCE (leaving capsule behind) decreases the chances of many complications. Complications decreased by ECCE are :-


Vitreous prolapse & loss
Endophthalmitis     
Cystoid macular edema
Aphakic glaucoma       
Fibrous & endothelial ingrowth    
Retinal detachment    
Neovascular glaucoma         
Corneal endothelial damage
Anterior uveitis    


So, almost all complications are decreased by ECCE except for after cataract, which occurs with ECCE.
Once again I remind that any of the complications can occur with ECCE, but the chances are reduced.